Prophylactic cranial irradiation not indicated in treatment of -
1. Small cell Ca of lung
2. ALL
3. Hodgkin's lymphoma
4. NHL

Correct answer: 3. Hodgkin's lymphoma